What is the wavelength of visible light used for curing light cure resin restorations?
1. 400-420nm
2. 420-475nm
3. 300-370nm
4. 475-500nm

Correct answer: 2. 420-475nm